Which of the following statements is not true about pancreatic carcinoma?
1. Mutation in p53 gene is associated in 75% of cases
2. Hereditary pancreatitis significantly increase the risk
3. Median survival in locally advanced (Stage III) disease is 3-6 months
4. Five year survival after curative pancreaticoduodenectomy is 20%

Correct answer: 3. Median survival in locally advanced (Stage III) disease is 3-6 months

Explanation: Ans. (c) Median survival in locally advanced (stage III) disease is 3-6 monthsRef: Sabiston 19/e p1541* Following surgical resection and adjuvant therapy for pancreatic cancer, the median survival is approximately 22 months, with 5-year survival of 15% to 20%.* In the absence of surgical resection, those with locally advanced disease who receive palliative chemotherapy may survive 10 to 12 months, whereas those with metastases rarely survive beyond 6 monthsInoperable cases - survival:* Stage 3-10-12 months* Stage 4- <6 months